A 14 year old boy has difficulty in expressing himself in writing and making frequent spelling mistakes, does not follow instruction and cannot wait for his turn while playing a game. He is likely to be suffering from
1. Intellectual disability
2. Lack of interest in studies
3. Specific learning disability
4. Examination anxiety

Correct answer: 3. Specific learning disability

Explanation: The Child may suffer from Specific learning disability If one find difficulty in expressing himself in writing and making frequent spelling mistakes, does not follow instruction and cannot wait for his turn while playing a game. Reference: GHAI Essential pediatrics, 8th edition